Filigree burns seen in:
1. Radiation
2. Electrical bum
3. Lightening
4. Vitriolage

Correct answer: 3. Lightening

Explanation: Ref: The Essentials of Forensic Medicine and Toxicology by KS Narayan Reddy. 29th edition. 2010. Pg298Explanation:Filigree / Arborescent /Lichtenberg's flowers are superficial, thin, irregular, tortuous markings d/t rupture of smaller blood vessels.This is a feature of lightning burns.These burns resemble the pattern of a branching out tree.Vitriolage is the act of throwing corrosive acid, especially concentrated sulphuric acid.Filigree burns